Immunoglobulin is not used in prophylaxis of:
1. Hepatitis A
2. Varicella
3. Influenza
4. Measles

Correct answer: 3. Influenza

Explanation: c. Influenza(Ref: IAP Guidebook on immunization 2013-2014, p 378, Nelson's 20/e p 1603, Ghai 8/e p 201-202)Following immunoglobulins are used for secondary prophylaxis: Tetanus, Hep A, Hep B, Rabies & Varicella Ig.